The blood supply of anterior cruciate ligament (ACL) is primarily derived from -
1. Superior medial genicular artery
2. Descending genicular artery
3. Middle genicular artery
4. Circumflex fibular artery

Correct answer: 3. Middle genicular artery

Explanation: Middle genicular artery and inferior genicular artery supplies anterior and posterior cruciate ligaments.